All of the following are glycoproteins, EXCEPT:
1. TSH
2. FSH
3. LH
4. GH

Correct answer: 4. GH

Explanation: Growth hormone or somatotropin is a 191-amino-acid polypeptide hormone (MW 21,500) synthesized and secreted by the somatotrophs of the anterior pituitary. TSH is a glycoprotein (MW 28,000) composed of two noncovalently linked alpha and beta subunits. LH and FSH are also glycoprotein gonadotropins composed of alpha and beta subunits and secreted by the same cell. Ref: Javorsky B.R., Aron D.C., Findling J.W., Tyrrell J.B. (2011). Chapter 4. Hypothalamus and Pituitary Gland. In D.G. Gardner, D. Shoback (Eds), Greenspan's Basic & Clinical Endocrinology, 9e.